Treatment of choice of intracranial ALL is -
1. Intrathecal methotrexate
2. Vincristine and predinisolone
3. Intrathecal vincristine
4. Prednisolone

Correct answer: 1. Intrathecal methotrexate